Investigation using dye to find out stone in salivary gland -
1. MR angiography
2. USG
3. Mammography
4. Sialography

Correct answer: 4. Sialography

Explanation: Ans. is 'd' i.e., Sialographyo Sialography is sthe standard investigation to detect stone in a salivary gland in which a dye is injected through the duct.